On stomach washing which poison turns to black on exposure to silver nitrate:
1. Tik 20
2. Celphos
3. Malathion
4. Arsenic

Correct answer: 2. Celphos

Explanation: B i.e. Celphos